Karyotype of Partial mole
1. 45XO
2. 46XX
3. 46XY
4. 69XXX

Correct answer: 4. 69XXX

Explanation: Partial moles have a triploid karyotype (69 chromosomes); the extra haploid set of chromosomes usually is derived from the father.When a fetus is present in conjunction with a partial mole, it generally exhibitsthe stigmata of triploidy, including growth retardation and multiple congenital malformations such as syndactyly and hydrocephaly.Ref: Berek and Novak's Gynecology; 15th edition; Chapter 39